Glycogenolysis is activated in muscles due to:
1. Glucagon
2. Insulin
3. Epinephrine
4. Growth hormone

Correct answer: 3. Epinephrine

Explanation: Glycogenolysis is activated by glucagon & epinephrine But Glucagon receptors are not found in muscles. So epinephrine increases glycogenolysis in muscles.